Which of these amino acids does not have asymmetric carbon atom?
1. Valine
2. Glycine
3. Alanine
4. Tryosine

Correct answer: 2. Glycine

Explanation: Glycine is the simplest amino acid with no optical activity.